A post - natal mother who delivered 2 days back presents with increased tearfulness and sleeplessness. No features of Anhedonia, suicidal or lack of interest present. Most probable diagnosis:
1. Mania
2. Postpartum psychosis
3. Postpartum blues
4. Postpartum depression

Correct answer: 3. Postpartum blues

Explanation: Post-partum blues - Between one-half and two-thirds of women delivered of a normal child experience a brief episode of irritability, muddled thinking, tearfulness, and lability of mood, which is particularly characteristic All these symptoms reach their peak on 3rd or 4th day post-partum day Reassurance no medical treatment needed Post-partum depression - Tiredness, irritability, and anxiety are often more prominent than depressive mood and there may be prominent phobic symptoms. These disorders are caused mainly by the psychological adjustments required after childbirth, by loss of sleep, and by the hard work involved in the care of the baby. Management of postpartum depression similar to that of depression in general. Post-partum psychosis - Nearly developed in 1 - 2nd week of post-partum The syndrome is often characterized by the mother's depression, delusions, and thoughts of harming either herself or her infant Delusional material may involve the idea that the baby is dead or defective. Patients may deny the birth and express thoughts of being unmarried, virginal, persecuted, or perverse Mainly mother's idea is concerning the baby. Severely depressed patients may have delusional ideas that the child is malformed or otherwise imperfect and some patients may attempt to kill the child to spare it from future suffering. Post-partum psychosis is not more common after complicated deliveries.